Ascaris lumbricoides does not cause
1. Appendicitis
2. Pneumonia
3. Bile duct obstruction
4. Cysticercosis

Correct answer: 4. Cysticercosis

Explanation: Infection of ascaris lumbricoides-ascariasis Symptoms-due to migrating larva or due to adult worms Lungs-pneumonia Cysticercosis is caused by larva of Taenia solium(cysticercus cellulosae) (refer pgno:138 baveja 3 rd edition,panikers textbook of Medical parasitology 8th edition page 125,203)